Which of the following is the anterior relation to first part of duodenum ?
1. root of mesentary
2. superior mesenteric vessels
3. transverse mesocolon
4. gallbladder

Correct answer: 4. gallbladder

Explanation: Visceral Relations of 1st part of duodenum Anteriorly: 1)Quadrate lobe of liver, and 2) gall bladder. Ref : B D Chaurasia's Human Anatomy , seventh edition , voulme 2 , pg. no., 286 ( Fig. 20.8a )